The antiepileptic drug effective in Lennox-Gastaut syndrome is:
1. Lamotrigine
2. Gabapentin
3. Tiagabine
4. Primidone

Correct answer: 1. Lamotrigine

Explanation: Lamotrigine is the most effective drug among the given options. Ref: Harrisons principles of internal medicine, 18 th edition ; Page : 3263, Table : 369/9.